Sullivan's index is indicator of?
1. Burden of disease
2. Literacy rate
3. Mortality rate
4. Disability rate

Correct answer: 4. Disability rate

Explanation: Ans. D. Disability rate. (Ref. Park's Textbook of PSM 22nd/pg.25)Discussion:Sullivan's Index (expectation of life free of disability) is computed by subtracting from life expectancy the probable duration of bed disability and inability to perform major activities, according to cross-sectional data from the population survey.Indicators of health are as follows:-# Mortality indicators: CDR, IMR, 1-4 year mortality rate, MMR, Under 5 mortality rate, proportional mortality rate, expectation of life etc...# Morbidity indicators:Incidence, prevalence, duration of stay etc...# Disability rates:Sullivan's index, HALE, DALY# Nutritional status indicators:Prevalence of LBW, anthropometric measurement# Environmental indicatorsilndicators relating to pollution, access to safe water & sanitation facility etc...# Socio-economic indicators:Per capita GNP, dependency ratio etc...# Indicators of social & mental health:Crime rate, homicide suicide rates, drug abuse# Health policy indicators:Proportion of GNP spent on health# Health care delivery indicators: Dr. population ratio, Dr. Nurse ratio, physiotherapist population ratio etc...# Utilization rates: Fully immunized infants, bed occupancy rate etc...# Indicators of Quality of life:PQLI# Other:Basic needs indicators (by ILO);Health for all indicators (12 in no.)- MDG indicators etc..